muscle supplied by the hypoglossal nerve are all except:
1. palatolossus
2. styloglossus
3. Hyoglossis
4. genioglossus

Correct answer: 1. palatolossus

Explanation: palatoglossus. 1. All the muscles of the tongue except palatoglossus (cranial accessory nerve through pharyngeal plexus) are supplied by hypoglossal nerve 2. all the muscles of pharynx except stylopharangeus (glossopharengeal nerve) are supplied by pharyngeal plexus. 3. all muscles of soft palate except tensor velli palatine (nerve to medial pterygoid from mandiubular nerve) are supplied by pharyngeal plexus. 4. All muscles of larynx except cricothyroid (external laryngeal nerve) are supplied by recurrent laryngeal nerve